Drugs causing SLE are
1. INH
2. Hydralazine
3. procainamide
4. All

Correct answer: 4. All

Explanation: Ref-CMDT 2010/752 Drugs which are responsible for SLE are INH, Hydralazine, procainamide